Which of the following is used to represent continuous (quantitative) data -
1. Bar diagram
2. Pie chart
3. Histogram
4. Map diagram

Correct answer: 3. Histogram

Explanation: Ans. is 'c' i.e., Histogram DataScaleGraph/DiagramQuantitativeInterval scaleRatio scaleHistogramFrequency polygonfrequency curves linechart scatter diagramCumulative frequency CurveLine Chart graphQualitativeNominal scaleOrdinal scaleBar diagramPie chartPictogramMap diagram or spot map